The most common malignancy found in Marjolin's ulcer is
1. Basal cell carcinoma
2. Squamous sell carcinoma
3. Malignant fibrous histiocytoma
4. Neurotrophic malignant melanoma

Correct answer: 2. Squamous sell carcinoma

Explanation: Repeated question